A major function of the epididymis is:
1. Storage and transport of mature sperm
2. Initiating the development of spermatozoa
3. Secretion of estrogens
4. Production of inhibin

Correct answer: 1. Storage and transport of mature sperm

Explanation: Ans. A. Storage and transport of mature spermThe epididymis and vas deferens are major storage sites of spermatozoa. Spermatozoa develop in the in the seminiferous tubules. Sertoli cells, not the epididymis, secrete estrogens and inhibin. The prostate gland, seminal vesicles, and bulbourethral glands secrete the seminal fluids.